Release ferroportin store is controlled by?
1. Hepsidin
2. Transferrin
3. Ferritin
4. Hepoxin

Correct answer: 1. Hepsidin

Explanation: Ans. (a) Hepsidin(Ref: Robbins 9th/pg 649; 8th/pg 659)Ferroportin which regulates the Iron release from tissue store house is regulated by hepsidin hormone released by liver.